Which of the following drug is given orally?
1. Dalteparin
2. Rivaroxaban
3. Lepirudin
4. All of the above

Correct answer: 2. Rivaroxaban

Explanation: Rivaroxaban &, Apixaban both are oral Factor Xa inhibitor, are used for short-term thromboprophylaxis